Tinea Versicolour is caused by:
1. E. Flaccosum
2. Malassezia Furfur
3. T. rubrum
4. T. Schonleini

Correct answer: 2. Malassezia Furfur

Explanation: B i.e. Malazzezia furfur